Which is the most common cancer which results in death?
1. Oral cancer
2. Breast cancer
3. Prostate cancer
4. Lung cancer

Correct answer: 4. Lung cancer

Explanation: Ref: Harrison 19th ed. P 467* The most common cancer leading to death in both males and females.* The prevalence of carcinoma lung as contributor to death in males is 28% as compared to prostate cancer as 10%.* The prevalence of carcinoma lung as contributor to death in females is 26% compared to breast cancer as 15%.Distribution of Cancer related deathsMale (%)Female (%)Lung28Lung26Prostate10Breast15Colorectal8Colorectal9Pancreas7Pancreas7The table given below from 19th edition of Harrison mentions prostate cancer as most common in males (27%) and breast cancer (29%) as most common in females.Distribution of cancer incidenceMaleFemaleSites%Sites%Cancer incidenceProstate27Breast29Lung14Lung13Colorectal8Colorectal8Bladder7Endometrial6Melanoma5Thyroid6Kidney4Lymphoma4Lymphoma4Melanoma4Oral cavity4Kidney3